Specificity of a test refers to its ability to detect
1. True positive
2. False negative
3. True negative
4. False positive

Correct answer: 3. True negative

Explanation: Specificity is defined as the ability of a test to identify those who do not have the disease.
That is true negatives.